Interferon-gamma release assay is used in the diagnosis of
1. HIV
2. Malaria
3. Typhoid
4. TB

Correct answer: 4. TB

Explanation: Recently, two in vitro assays that measure T cell release of IFN-gamma in response to stimulation with the highly tuberculosis-specific antigens ESAT-6 and CFP-10 have become commercially available